Which of the following drugs DO NOT cause hyperprolactinemia?
1. Bromocriptine
2. Haloperidol
3. Reserpine
4. Chlorpromazine

Correct answer: 1. Bromocriptine

Explanation: Hyperprolactinemia is caused by D2 blockers. All the drugs listed are D2 blockers except bromocriptine which is a Dz receptor agonist. It is used in the treatment of hyperprolactinemia.